Streptococcus toxin which causes connective tissue breakdown.
1. Streptococcal pyrogenic toxin
2. Hemolysins
3. DNAase
4. Hyaluronidase

Correct answer: 4. Hyaluronidase

Explanation: It cleaves β 1,4 bond b/w N-Acetyl L glucosamine and d-glucuronic acid.